Concentration of sodium in mMol/L in low osmolar ORS is?
1. 45
2. 90
3. 60
4. 75

Correct answer: 4. 75